Calculus embedded deeply into the cementum appearing morphologically as cementum is:
1. Calculocementum
2. Pseudocementum
3. Intermediate cementum
4. Calculi

Correct answer: 1. Calculocementum